Function of Helicase is -
1. Reanneal ling of DNA
2. Unwinding of DNA
3. Synthesis of RNA primer
4. DNA polymerization

Correct answer: 2. Unwinding of DNA

Explanation: Ans. is 4b' i.e., Unwinding of DNA ProteinFunctionDNA polymerasesDeoxynucleotide polymerizationHelicasesProcessive unwinding of DNATopoisomerasesRelieve torsional strain that results from helicase-induced unwindingDNA primaseInitiates synthesis of RNA primersSingle-strand binding proteinsPrevent premature reannealling of dsDNADNA ligaseSeals the single strand nick between the nascent chain and Okazaki fragments on lagging strand